A patient with history of hypertension, with current blood pressure of 170/120 came to your clinic fur or prophylaxis procedures what will be your next step
1. Wait, monitor and start treatment
2. Refer to physician
3. Oral prophylaxis can be done with IV drugs
4. Oral prophylaxis procedure can be done directly

Correct answer: 2. Refer to physician